With regard to anorexia nervosa the following is true except-
1. Phobic avoidance of normal weight
2. Overperception of body image
3. Self induced vomiting
4. Menorrhagia

Correct answer: 4. Menorrhagia

Explanation: There is amenorrhea (not menorrhagia).